Which one of the following is the most common central nervous system parasitic infection
1. Echinococcosis
2. Paragonimiasis
3. Sparaganosis
4. Neurocysticercosis

Correct answer: 4. Neurocysticercosis

Explanation: (D) Neurocysticercosis > Neurocysticercosis is a predominant manifestation of T. solium Infection